True about cysteinyl aspartate specific proteases (Caspases) is?
1. Involved in apoptosis
2. Cause necrosis
3. Involved in pain pathway
4. Are cytokines inhibitor

Correct answer: 1. Involved in apoptosis

Explanation: Caspases ( cysteinyl aspartate specific proteases) are the effector proteins in the apoptotic cascade of cell death. Human caspases are classified into two groups:Those related to apoptosis: caspases 2,3,6,7,8,9,10.Those related to apoptosis: caspases 1, 4, 5 and 11.